Endophthalmitis involves inflammation of all of the following, Except –
1. Sclera
2. Uvea
3. Retina
4. Vitreous

Correct answer: 1. Sclera